What will be the manifestation of a lesion in occipital lobe?
1. Bitemporal hemianopia
2. Homonymous hemianopia with macular sparing
3. Binasal hemianopia
4. Homonymous superior quadrantanopia

Correct answer: 2. Homonymous hemianopia with macular sparing

Explanation: SITE OF LESSION visual feild defect Disc/optic nerve lesions Same sided monocular blindness Chiasmal lesions Bitemporal Hemianopia Optic tract lesions (mc) Incongruous Homonymous hemianopia Lt. Geniculate body lesions Incongruous Homonymous hemianopia Meyer's loop (Temporal lobe) Pie in the sky Baum's loop (parietal lobe) Pie on the Floor Occipital lobe lesion Congruous Homonymous hemianopia with macular sparing